Spinothalamic tract transmits all the following sensations except
1. Proprioception
2. Pain
3. Temperature
4. Touch

Correct answer: 1. Proprioception

Explanation: (A) Proprioception